Cone of light focuses on which quadrant of the tympanic membrane
1. Anteroinferior
2. Posteroinferior
3. Anterosuperior
4. Posterosuperior

Correct answer: 1. Anteroinferior

Explanation: A bright cone of light radiating from tip of malleus to the periphery in the anteroinferior quadrant of the tympanic membrane.